Perinatal period is defined as -
1. From 20 week of gestation to birth
2. From 28 week of gestation to birth
3. From 28 week of gestation to one week after birth
4. From birth to one month after birth

Correct answer: 3. From 28 week of gestation to one week after birth

Explanation: Perinatal period is defined as from 28 week of gestation to one week after birth. REF. PARK'S TEXTBOOK OF PREVENTIVE AND SOCIAL MEDICAL 21ST EDITION. PAGE NO - 519